True statements about Appendix except
1. Have mesentery
2. Has taenia coli
3. Develops from midgut
4. Supplied by appendicular branch of ileocolic artery

Correct answer: 2. Has taenia coli

Explanation: The appendix is developes from midgut. Supplied by appendicular artery which is a branch of ileocolic artery. Which is a branch of Superior mesenteric artery The appendix is connected to the mesentry in the lower region of the ileum, by a short region of the mesocolon known as the mesoappendix. Colon and caecum have tenia coli (3 longitudinal muscles), which converge at base of appendix on caecum. Ref - BDC 6e vol 2 Pg 269